Oval bulging terminal spores seen in -
1. Cl. tertium
2. Cl. welchii
3. Cl. perfringens
4. Cl. histolyticum

Correct answer: 1. Cl. tertium

Explanation: Ans. is 'a' i.e., Cl. tertium